Hypertension and pulmonary edema associated with scorpion sting is managed by
1. Carvedilol
2. Spironolactone
3. Phentolamine
4. Prazosin

Correct answer: 4. Prazosin

Explanation: * Prazosin, a alpha1 selective adrenergic antagonist is a favorable choice for management of scorpion sting associated hypertension and pulmonary edema. Ref:- Harrisons Principles of Internal Medicine 20th Ed; Pg Num:- 3329